Molluscum contaglosum is a :
1. Adenovirus
2. Flavi virus
3. Rubi virus
4. Pox virus

Correct answer: 4. Pox virus

Explanation: Pox virus Molluscum contagiosum Pearly white umblicated nodule over the skin / genitals +nt Caused by MCV 1,2,3,4 On biopsy, Henderson Peterson Rx - podopphylin resin + cryosurgery